Most common infection caused by streptococcus pneumonia ?
1. Otits media
2. Sore throat
3. Meningitis
4. Pneumonia

Correct answer: 1. Otits media

Explanation: Ans. is 'a' i.e., Otitis media Important infections caused by streptococcus pneumoniae The source of human infection is the respiratory tract of carriers and less often, of patients. Pneumococci occur in the throat of approximately half of the population sampled at any time. Str. pneumoniae is the most frequent cause of pneumonia. The commonest pneumococcal infections are otitis media and sinusitis. Meningitis is the most serious of pneumococcal infections. Empyema is the most common complication of pneumococcal pneumonia.